Alkylating agents are all except ?
1. Buslfan
2. Carmustine
3. Dacarbazine
4. Etoposide

Correct answer: 4. Etoposide

Explanation: Ans. is `d' i.e., Etoposide